Which of the following nerve is commonly damaged during McBurney's incision?
1. Subcostal nerve
2. 10th thoracic nerve
3. 11th thoracic nerve
4. Iliohypogastric nerve

Correct answer: 4. Iliohypogastric nerve

Explanation: The nerve commonly damaged during McBurney's incision is Iliohypogastric Nerve. Damage to this nerve result in the development of right inguinal hernia. Mc Burney's incision/ grid iron incision is commonly done for appendectomy. In this an oblique incision is made in the right iliac fossa about 5cm above and medial to the anterior superior iliac spine at right angle to the spino umbilical line. Ref: Anatomy of Abdomen and Lower Limb By Singh, Page 46.